Stomach bed is formed by all except -
1. Pancreas
2. Right kidney
3. Splenic artery
4. Diaphragm

Correct answer: 2. Right kidney

Explanation: Ans. is 'b' i.e., Right kidney o The posterior surface of stomach is related to structures forming the stomach bed, all of which are separated from stomach bv the cavity of the lesser sac. These structures forming stomach bed arei) Diaphragm,ii) Left kidneyiii) Left suprarenal (adrenal) glandiv) Pancreas (body)v) Transverse colonvi) Splenic flexure of colonvii) Splenic arteryo Sometimes spleen is also included in stomach bed, but it is separated from stomach by greater sac (not lesser sac).